In pleomorphic adenoma mutation occurs in:
1. PLAG1 gene.
2. PLAM1 gene
3. PLAG2 gene
4. All of the above.

Correct answer: 1. PLAG1 gene.